Which of the following deficiency can cause generalized oedema:
1. Vitamin B2
2. Vitamin B6
3. Vitamin B12
4. Vitamin B1

Correct answer: 4. Vitamin B1

Explanation: Vitamin B1 deficiency is Beri-Beri, which can cause oedema in "Wet Beri-Beri" which affects CVS, leading to cardiac failure, pulmonary & peripheral oedema. Other clinical manifestations of Beri-Beri: